TRUE statement about Anterior cruciate ligament is
1. Attaches to posterior part of Intercondylar area of Tibia
2. Stronger than posterior cruciate ligament
3. Upward, backwards and laterally attached to the posterior aspect of lateral surface of medial Condyle
4. Prevents posterior dislocation of femur on tibia

Correct answer: 4. Prevents posterior dislocation of femur on tibia

Explanation: Anterior cruciate ligament

Attaches to anterior part of Intercondylar area of Tibia
Weaker than posterior cruciate ligament
Upward, backwards and laterally attached to the posterior aspect of medial surface of lateral Condyle